Following are the TM joint ligaments except -
1. Stylomandibular
2. Temporomandibular
3. Tympanomandibular
4. Sphenomandibular

Correct answer: 3. Tympanomandibular

Explanation: Ligaments of TM joint are lateral temporomandibular ligament, sphenomandibular ligament, stylomandibular ligament and fibrous capsule.